Which of these has dense irregular connective tissue?
1. Ligament
2. Tendon
3. Lamina propria
4. Dermis

Correct answer: 4. Dermis

Explanation: Dense irregular connective tissue: This type of tissue contains a dense woven network of collagenous (and some elastic) fibers in a viscous matrix. It is found in - Joint capsules Muscle fascia Dermis of skin